Which of the following statement about P24 antigen of HIV is NOT true?
1. It can be detected during the window period
2. Free P24 antigen disappears after the appearance of lgM response to it
3. Virus load parallels P24 titre
4. It remains during asymptomatic phase

Correct answer: 4. It remains during asymptomatic phase